A 2 years male boy presenting with sudden severe dyspnoea, most common cause is
1. Foreign body
2. Bronchiolits
3. Asthmatic attack
4. None

Correct answer: 1. Foreign body

Explanation: For 2 years male boy presenting with sudden severe dyspnoea, the most common cause is a foreign body. Ref: Textbook of diseases of ENT, PL Dhingra, 7th edition, pg no. 334